Keinbock's disease is osteochondritis of ?
1. Scaphoid
2. Lunate
3. Calcaneum
4. Tibial tuberosity

Correct answer: 2. Lunate

Explanation: Ans. is 'b' i.e., Lunate